All of the following is used in pleurodesis except
1. C. parvum
2. Clotrimazole
3. Mustine Hcl
4. Tetracycline

Correct answer: 2. Clotrimazole